Deep caries (<2 mm of dentine remaining) management with resin composite restoration would include:
1. Calcium hydroxide
2. Glass ionomer cement
3. Dentin bonding agent
4. All of the above

Correct answer: 4. All of the above